Relatively higher dose of theophylline is required to attain therapeutic plasma concentration in :
1. Smokers
2. Congestive heart failure patients
3. Those receiving erythromycin
4. Those receiving cimetidine

Correct answer: 1. Smokers